Which one of the following is NOT a feature of Kartagener's syndrome -
1. Bronchiectasis
2. Ciliary dyskinesia
3. Pancreatic insufficiency
4. situs inversus

Correct answer: 3. Pancreatic insufficiency

Explanation: Ref:Harsh Mohan - Textbook of Pathology, 6th Edition.page no.484 Immotile cilia syndrome that includes Kartagener's syndrome (bronchiectasis, situs inversus and sinusitis) is characterised by ultrastructural changes in the microtubules causing immotility of cilia(Ciliary dyskinesia) of the respiratory tract epithelium, sperms and other cells. Males in this syndrome are often infertile